Most potent Chemoattractant for neutrophils is
1. IL-1
2. IL-6
3. IL-8
4. IL-2

Correct answer: 3. IL-8

Explanation: Manor activity of IL8 is chemotaxis of neutrophils, basophils and T cellsIL1- Activation of T cells and macrophages. IL 6 -- Activation of lymphocytes, differentiation of B cells, stimulation of production of acute phase proteinIL2 - Activation of lymphocytes, NK cells, and macrophages Ref: Ganong's Review of medical physiology, 24th edition.Pg no: 73